Chilotic line helps in determination of:
1. Race
2. Sex
3. Age
4. Stature

Correct answer: 2. Sex

Explanation: Ans. Sex